Increasing severity of intellectual disability of male members over generations is a result of -
1. Mitochondrial DNA mutation
2. Frameshift mutation
3. Y linked disorder
4. Trinucleotide repeat mutation

Correct answer: 4. Trinucleotide repeat mutation

Explanation: Ans. (d) Trinucleotide repeat mutation(Ref: Robbins 9th/pg 168-171; 8th/pg 168-171)Increasing severity of intellectual disability of male members over generations is a result of "anticipation", seen in disorders caused by Trinucleotide repeat mutation. Eg Fragile X syndrome